All statement about Plummer–Vinson syndrome are true except -
1. Commonly leads to carcinoma in lower third of esophagus
2. Common with iron deficiency
3. Common in females
4. Premalignant

Correct answer: 1. Commonly leads to carcinoma in lower third of esophagus

Explanation: Plummer-Vinson syndrome

Plummer-Vinson syndrome, also known as Brown-Kelly-Paterson syndrome or sideropenic dysphagia, seen in middle-aged edentulous women.
The plummer Vision Paterson Brown-Kelly Syndrome is characterized by : -


Dysphagia
Chronic iron deficiency anaemia
Atrophic oral mucosa and glossitis
Brittle, spoon-shaped fingernails (Koilonychia)


The cause of dysphagia is usually a cervical esophageal web, but abnormal pharyngeal and esophageal motility may play a role.
The syndrome characteristically occurs in middle-aged edentulous (without teeth) women.
It is a premalignant lesion. Approximately 10% of patient develop squamous cell Ca of esophagus, oral cavity or the hypopharynx.
As iron-deficiency anemia is a common finding, it is also known as sideropenic dysphagia.
Carcinoma develops in the postcricoid region (not in the lower third oesophagus).